Attenuation reflex is lost in case of
1. Stapedial palsy
2. Glomus tumor
3. Internal ear pathology
4. Malingerers

Correct answer: 1. Stapedial palsy

Explanation: It is based on the fact that a loud sound, 70-100 dB above the threshold of hearing of a particular ear, causes bilateral contraction of the stapedial muscles which can be detected by tympanometry. Stapedial reflex is elicited with a sound of 70-100 dB SL Absence of Stapedial reflex when hearing is normal indicates lesion of the facial nerve, proximal to the nerve to stapedius. Stapedial reflex becomes absent when stapes is fixed.